Which of the following is true about Mantle dentin
1. 1st formed dentin just beneath DEJ
2. Calcified by matrix vesicles
3. Both
4. None

Correct answer: 3. Both